True about Impetigo is – a) Contagiousb) Bacterial infectionc) Non contagiousd) Honey coloured cruste) Viral infection
1. abd
2. bcd
3. abc
4. ab

Correct answer: 1. abd

Explanation: Impetigo is -


Highly contagious
Gram positive bacterial infection of superficial layers of epidermis.


Honey coloured crust is seen in Impetigo contagiosa (Non-bullous impetigo).